Non-immune hydrops fetalis is due to all except :
1. Chromosome defect
2. Alpha thalassemia major
3. Parvo B - 19 virus
4. ABO incompatibility

Correct answer: 4. ABO incompatibility

Explanation: ABO incompatibility